A 25 year old male presents with road traffic accidents with a BP of 100/80mm Hg and a pulse of 84/min. Best fluid for resuscitation is -
1. Colloid
2. Crystalloid
3. Packed RBCs
4. Whole Blood

Correct answer: 2. Crystalloid

Explanation: Ans. is 'b' i.e., Crystalloid Protocol for management of hypovolemic shocko "Initial resucitation requires rapid reexpansion of the cirulating blood volume along with interventions to control ongoing loss.o Volume resuscitation is initated with the rapid infusion of isotonic saline or a balanced salt solution such as Ringers lactate through large bore IV lines. No distinct benefit from the use of colloids have been demonstrated and in trauma patients, it is associated with a higher mortality. The infusion of 2 to 3 It. over 20 to 30 min should restore normal hemodynamic parameters.o Continued hemodynamic instability implies that shock has not been reversed and/or that there are significant ongoing blood or volume losses.o Continued blood loss, with haemoglobin concentration declining to 10 g/dl should initiate blood transfusiono In the presence of severe and for prolonged hypovolemia, inotropic support with dopamine vasopressin or dobutamine may be required to maintain adequate ventricular performance, after blood volume has been restoredo Infusion of norepinephrine to increase arterial pressure by raising peripheral resistance is inappropriate, other than as a temporizing measure in severe shock while blood volume is reexpanded."